Progestreone has how many carbons -
1. 18
2. 19
3. 21
4. 20

Correct answer: 3. 21

Explanation: Ans. is 'c' i.e., 21 o Steroid hormones are of 3 types :-21-carbon steroids (C21) - Progesterone, corticosteroids (glucocorticoids, mineralocorticoids).19-carbon steroids (C19) - Androgens (testosterone).18-carbon steroids (C18) - Estrogens.